Neonate with anoxic spells and single S2. CXR shows all except?
1. Boot shaped heart
2. Pulmonary plethora
3. Right sided aortic arch
4. Right ventricular hypertrophy

Correct answer: 2. Pulmonary plethora

Explanation: Ans. (b) Pulmonary plethoraThe CXR shows an enlarged heart with boot shaped configuration and reduced vascularity of lungs. The clinical diagnosis is Tetralogy of Fallot, and due to subpulmonic stenosis it presents with pulmonic Oligemia.